. A woman of 50 years who attained menopause, coming with one epidose of bleeding P/ V. Which of the following to be done:a) Assess for H/o HRTb) Hysterectomyc) PAPs Smeard) Endometrial biopsye) DUB
1. acd
2. ad
3. bc
4. bde

Correct answer: 1. acd